True statement about Rt coronary artery (RCA) -a) Diameter less than LCAb) RCA arises from anterior aortic sinusc) RCA supplies major part of right atrium and right ventricled) RCA gives rise to circumflex coronary branch
1. abc
2. bcd
3. ab
4. ac

Correct answer: 1. abc

Explanation: Circumflex artery is a branch of LCA. Rest all options are true.